Pneumatoceles in chest X-ray are characteristically seen in pneumonia due to:
1. Streptococcus pyogenes
2. Haemophilus influenzae
3. Streptococcus pneumoniae
4. Staphylococcus aureus

Correct answer: 4. Staphylococcus aureus

Explanation: d. Staphylococcus aureus(Ref: Nelson's 20/e p 2088-2093, Ghai 8/e p 379-381)Pneumatoceles in chest X-ray are characteristically seen in pneumonia due to Staphylococcus aureus.